Descriptive Epidemiology is study in relation to -
1. Time
2. Place
3. Person
4. All

Correct answer: 4. All